Lesion of globus pallidus causes
1. Chorea
2. Athetosis
3. Hemibalismus
4. Flexion dystonia

Correct answer: 2. Athetosis

Explanation: . *Athetosis results due to lesions in neostriatum and globus pallidus , breaking neuronal circuit involving basal nuclei and cerebral cortex. Athetosis is a symptom characterized by slow, involuntary, convoluted, writhing movements of the fingers, hands, toes, and feet and in some cases, arms, legs, neck and tongueLesions to the brain are most often the direct cause of the symptoms, particularly to the corpus striatum. Ref Harrison20th edition pg 2456